Which of the following psychopathology is not a cognitive distortion or error?
1. Arbitrary inference
2. Dichotomous Thinking
3. Selective Abstraction
4. Passivity Thinking

Correct answer: 4. Passivity Thinking

Explanation: Cognition refers to both the content of thought and the process involved in thinking. Cognitive distortions are errors in logic in the automatic thoughts and other cognition's of persons with emotional disorders. The cognitive distortions or errors described by Beck are arbitrary inference, selective abstraction, over generalization, maximization and minimization, personalization and dichotomous thinking. Passivity Phenomenon is a delusion of being controlled by others and hence is a symptom of psychosis.